True statements about Pneumococcus are all except:
1. Pneumolysin a thiol activated toxin, exerts a variety of effects on ciliary and PMN’s action
2. Autolysin may contribute to the pathogenesis of pneumococcal disease by lysing bacteria
3. Anticapsular antibodies are serotype specific
4. The virulence of pneumococci is dependent only on the production of the capsular polysaccharide

Correct answer: 4. The virulence of pneumococci is dependent only on the production of the capsular polysaccharide